A 5 year old boy comes with overnight petechial spots 2 weeks back he had history of abdominal pain and no hepatosplenomegaly. Diagnosis is ?
1. Aute lymphatic leukemia
2. Aplastic anemia
3. Idiopathic thrombocytopenis purpura
4. Acute viral infection

Correct answer: 3. Idiopathic thrombocytopenis purpura

Explanation: Ans. is 'c' i.e., Idiopathic thrombocytopenic purpura Petechial spots without hepatosplenomegaly in a 5 year old boy suggest the diagnosis of ITP. About other options Acute leukemia o Acute leukemia will give features of involvement of all the three lineages i.e. anemia (erythrocyte involvement) fever (due to neutrophil involvement) bleeding (due to platelet involvement) Moreover splenomegaly and lymphadenopathy are usually present in Acute leukemias. Aplastic anemia o Aplastic anemia too will present with features, characteristic of involvement of all the three lineages i.e. severe anemia, fever bleeding.